In an alaryngeal speech, with fistula based voice prosthesis, which of these prosthesis has the feature of "Loading tool with an instantaneous opening of the oesophagal flange
1. Blom-Singer Indwelling
2. Provox 2
3. Panje voice button
4. Blom Singer duckbill

Correct answer: 2. Provox 2

Explanation: Alaryngeal speech is a speech made using sources other than the glottis in the larynx to create voiced sound. There are three types: oesophagal, buccal, and pharyngeal speech. In oesophageal tracheoesophageal puncture can be made and utilized Provox2 is a diameter indwelling silicone voice prosthesis that can be inserted, immediately after TE puncture (primary or secondary), without the need for temporary stenting. Ref: https://en.m.wikipedia.org/wiki/Voice_prosthesis